Which of the viruses given below is not Teratogenic virus:
1. Rubella
2. Cytomegalovirus
3. Herpes
4. Measles

Correct answer: 4. Measles

Explanation: Measles